Ebola virus is a -
1. Reovirus
2. Filovirus
3. Herpes virus
4. Rotavirus

Correct answer: 2. Filovirus

Explanation: ebola virus belongs to genus filo virus REF:ANATHANARAYANAN MICROBIOLOGY NINTH EDITION PAGE.558